Nervus spinosus is a branch of which of the following?
1. Maxillary nerve
2. Mandibular nerve
3. Facial nerve
4. Nerve of pterygoid canal

Correct answer: 2. Mandibular nerve

Explanation: The meningeal branch or nervus spinosum enters the skull through the foramen spinosum with middle meningeal artery and supplies the dura mater of middle cranial fossa. NOTES: The branches of mandibular nerve- a.Meningeal branch or nervous spinosum b.Nerve to medial pterygoid From anterior trunk; a.Sensory branch,the buccal nerve b.Motor branch,the masseteric and deep temporal nerves and the nerve to lateral pterygoid From posterior trunk; a.Auriculotemporal nerve b.Lingual nerve c.Inferior alveolar nerve Ref BDC volume 3,sixth edititon pg 125